Which of the following HPV type is most carcinogenic -
1. 6
2. 11
3. 16
4. 3

Correct answer: 3. 16

Explanation: Ans. is 'c' i.e., 16 * High risk HPV: HPV-16, 18, 31, 33 & 45 - associated with cervical cancer.* Low risk HPV: HPV- 6 & 11 - associated with precursor lesions CIN* HPV-5 & 8 - associated with squamous cell cancer in patients with epidermodysplasia verruciformis.